Which antigen is not of prognostic significance in carcinoma breast
1. Her 2 neu
2. Epithelial membrane antigen
3. ER
4. PR

Correct answer: 2. Epithelial membrane antigen

Explanation: The presence of hormone receptors confers a slightly better prognosis.The highest rate of response (approximately 80%) to antiestrogen therapy (oophorectomy or tamoxifen) is seen in women whose tumor cells express both estrogen and progesterone receptors Overexpression of HER2/NEU:Overexpression of this membrane-bound protein is almost always caused by gene amplification ref : Robbins Basic Pathology, 9E,page-713